While testing a hypolidemic drug, serum lipid levels were tested both before and after its use. Which test is best suited for the stastical analysis of the result-
1. Paired T test
2. Student's test
3. Chi square test
4. None of the above

Correct answer: 1. Paired T test

Explanation: Ref:Parks 23rd edition pg 852 Here measurement is Quantitative and involves only a single group (before and after intervention) . So we use paired T test. Tests of significance: Qualitative: Chi- square : 2 or more than 2 groups Mc Nemar test : 1 group. ( before and after intervention) Quantitative: Paired T test: 1 group Student T test/ unpaired T test: 2 groups Anova: more than 2 groups.